An example of high level disinfectant is
1. Phenol
2. Glutaraldehyde
3. Alcohol
4. Povidone Iodine

Correct answer: 2. Glutaraldehyde